A 25 years old male patient presents with eccentric behaviour for 3 years. He is not in any job and has trouble in doing his own work like bathing, eating. He complains of hearing voices and speaks to himself when he is alone. On examination, he has flat effect, inappropriate emotions, and disorganized behaviour with suicidal ideas. The most appropriate diagnosis is:
1. Paranoid schizophrenia
2. Hebephrenic schizophrenia
3. Catatonic schizophrenia
4. Undifferentiated schizophrenia

Correct answer: 2. Hebephrenic schizophrenia

Explanation: (Refer: DSM 5 section 2  P. 89 Phenomenology of Schizophrenia)
(Refer: Kaplan & Sadock's CTP, 9th Edition chap 12.2 P.1434)

A mental disorder characterized by problems with thought processes and by poor emotional responses.
Common symptoms are delusions including paranoia and auditory hallucinations, disorganized thinking reflected in speech, and a lack of emotional intelligence.
It is accompanied by significant social or vocational dysfunction

Bleuler's 4 A's of schizophrenia - Ambivalence, Autism, Affect disturbance and association disturbance
Clinical Findings